Drug of choice for pregnancy induced hypertension is
1. Methuldopa
2. Atenolol
3. Nitroprusside
4. Enalapril

Correct answer: 1. Methuldopa

Explanation: Alpha methyldopa is a drug of choice for pregnancy induced hypertension. However these days labetalol is preferred for this case of indication. Refer Goodman and Gilman 12e p773 Katzung 12e p176